Most common heart valve involved in IV drug user is
1. Mitral valve
2. Aortic valve
3. Pulmonary valve
4. Tricuspid Valve

Correct answer: 4. Tricuspid Valve

Explanation: Ref Harrison 19 th ed pg 819 Almost 50% of endo- carditis associated with injection drug use is limited to the tricuspid valve and presents with fever but with faint or no murmur and no peripheral manifestations